Anchovy sauce pus is a feature of ?
1. Amebic liver abscess
2. Lung abscess
3. Splenic abscess
4. Pancreatic abscess

Correct answer: 1. Amebic liver abscess

Explanation: Ans. is 'a' i.e., Amebic liver abscess In amebic liver abscesses the liquified material within the abscess cavity is a mixture of RBCs, leucocytes and broken down liver cells. This looks chocolate or reddish brown in colour and is k/a 'chocolate' or 'anchovy' sauce.